Head quarter of WHO is at
1. New York
2. Geneva
3. London
4. New Delhi

Correct answer: 2. Geneva